Aplastic anemia in hereditary spherocytosis precipitated by-
1. Parvo virus
2. HIV
3. Adenovirus
4. Influenza virus

Correct answer: 1. Parvo virus

Explanation: Answer is A (Parvovirus) Aplastic crisis is usually triggered by an acute parvovirus infection.